Which of the following is a pneumatic bone ?
1. Parietal bone
2. Occipital bone
3. Mastoid process
4. None

Correct answer: 3. Mastoid process

Explanation: Ans. is 'c' i.e., Mastoid process Pneumatic bones are one which contain large air spaces lined by epithelium. Examples: maxilla, sphenoid, ethmoid, etc. They make the skull light in weight, help in resonance of voice, and act as air conditioning chambers for the inspired air. A bone that is hollow or contains many air cells called as penumatic bone. Examples are mastoid process of temporal bone, maxilla, ethmoid, sphlenoid and frontal bone. Very simple to remember last 4 as all four paransal sinuses are pneumatic bones.